All of the following special histology stains are used to demonstrate H. pylori in gastric biopsies, except:
1. Fite's stain
2. Giemsa stain
3. Warthin-Starry stain
4. Modified Steiner's stain

Correct answer: 1. Fite's stain

Explanation: Fite's Acid fast stain (Fite-Faraco staining) is used for detection of Lepra bacilli (M. leprae) The following stains are used for detection of Helicobacter pylori in biopsies and tissue specimens: Routine hematoxylin & eosin (H&E) stain Special stains: Giemsa Warthin-Starry Pap stain Genta Modified Steiner Diff-Quik